A six year old male baby presents to a hospital with recurrent gross hematuria for 2 years. There is no hio burning micturition or pyuria. Urine routine examination demonstrated no pus cells and urine culture was sterile. Serum C3 levels were normal. What is the most probable diagnosis
1. Wilm's tumour
2. IgA nephropathy
3. Post -streptococcal glomerulonephritis
4. Urinary tract infection

Correct answer: 2. IgA nephropathy

Explanation: Answer is B (IgA Nephropathy) Recurrent Gross hematuria is a charachteristic feature of IgA Nephropathy A diagnosis of IgA Nephropathy is further supported by the presence of normal complement C3 levels.